Nutrient artery supplying the bone enters from which end
1. Away from the growing end
2. Towards the growing end
3. No fixed entry point
4. Metaphyseal end

Correct answer: 1. Away from the growing end

Explanation: Nutrient artery: it enters the shaft through nutrient foramen run obliquely through the cotex and divides into ascending and descending branches in medullary cavityThe nutrient artery supplies medullary cavity, inner 2/3 of cortex and metaphysisEach branch divide into a number of small parllel channels which terminate in the adult metaphysis by anastomosing with epiphysial, metaphysial and periosteal arteries Ref BD CHAURASIA S Handbook of General Anatomy Fourth edition Pg no 43